The characteristic "sulfur grains"of actinomycosis are composed chiefly of
1. Organisms
2. Neutrophils and monocytes
3. Monocytes and lymphocytes
4. Eosinophils

Correct answer: 1. Organisms